Cervix contains
1. Mainly muscle fibres
2. Mainly collagen
3. Both muscle and collagen are in equal proportion
4. None of the above

Correct answer: 2. Mainly collagen

Explanation: Cervix contains mainly collagen and only 10 % of muscle fibres.